The only medial branch of external carotid artery is:
1. Lingual
2. Maxillary
3. Superior thyroid
4. Ascending pharyngeal

Correct answer: 4. Ascending pharyngeal

Explanation: D i.e. Ascending pharyngeal